Enucleation means
1. Removal of the contents of globe
2. Removal of the contents of globe and sclera except a frill around the optic nerve
3. Removal of entire globe along with portion of optic nerve
4. Removal of the entire contents of orbit

Correct answer: 3. Removal of entire globe along with portion of optic nerve

Explanation: *There are three main surgical techniques by which all or part of the orbital contents are removed:- 1)Evisceration :- Removal of the Eye with its inner two coats, leaving behind the sclera and extraocular muscles. *Enucleation :- Removal is eyeball with a portion of optic nerve from the orbit while preserving all other orbital structure. *Exenteration :- It is the most radical of the three procedures and involves removal of the eye, adnexa and part of the bony orbit. Ref: Clinical ophthalmology 5th/e p.1715